Cellular cementum is
1. First formed cementum
2. Less calcified than acellular type
3. More calcified than acellular type
4. Less irregular

Correct answer: 2. Less calcified than acellular type